Trimalleolar fracture is
1. Pott's fracture
2. Cotton's fracture
3. Tillaux fracture
4. Jone's fracture

Correct answer: 2. Cotton's fracture